Catheterisation should not be done in case of acute retention of urine due to -
1. Benign prostatic hyperplasia (BPH)
2. Ca prostate
3. Stricture urethra
4. All

Correct answer: 3. Stricture urethra

Explanation: Ans. is 'c' i.e. Stricture urethra In cases of urethral stricture, if a patient has gone into retention because of a urethral stricture, the urethra will be too narrow to allow even a tiny catheter to pass safely. Urethral rupture is a relative conraindication of catheterisation, because injudicious urethral catheterisation will convert a partial tear into a complete transection of the urethra.